Endolymphatic decompression is done in:
1. Tinnitus
2. Acoustic neuroma
3. Meniere's disease
4. Perilymph fistula

Correct answer: 3. Meniere's disease

Explanation: (c) Meniere's disease(Ref. Cummings, 6th ed., 2559)Meniere's disease being characterised by endolymphatic hydrops so here endolymphatic sac decompression is done when the medical management fails.Tinnitus is treated as per the underlying cause.Treatment modality of Acoustic neuroma is surgical excision.Perilymph fistula is repaired by grafting the fistula.